Urogenital Diaphragm is made up of the following, except?
1. Deep transverse Perineus
2. Perinial membrane
3. Colle's fascia
4. Sphincter Urethrae

Correct answer: 3. Colle's fascia

Explanation: Colle's fascia does not contribute to the Urogenital Diaphragm. It is attached posteriorly to the posterior border of the urogenital diaphragm but does not form part of this diaphragm.